Wilson's Disease is caused by mutation of which of the following gene?
1. ATP 7A gene
2. ATP7B gene
3. ATP8A gene
4. ATP8B gene

Correct answer: 2. ATP7B gene

Explanation: Wilson's disease is an autosomal recessive disorder caused by mutations in the ATP7B gene. Clinical manifestations are caused by copper toxicity and primarily involve the liver and the brain. Reference: Harrisons Principles of Internal Medicine, 18th Edition, Page 3188